Most common heavy chain disease is -
1. Franklin disease
2. Seligmann disease
3. Mu heavy chain disease
4. Waldenstrom cryoglobulinemia

Correct answer: 2. Seligmann disease

Explanation: Ans. is 'b' i.e., Seligmann Disease (Alpha heavy chain disease) o Most common heavy chain disease is alpha chain disease called as seligmann disease.